Vegetations on undersurface ofA. V. valves are found in -
1. Acute Rheumatic carditis
2. Limban Sack's endocarditis
3. Non thrombotic bacterial endocarditis
4. Chronic rheumatic carditis

Correct answer: 2. Limban Sack's endocarditis